X-ray finding of osteomyelitis within 8 day is -
1. Cystic swelling
2. Soft tissue swelling
3. New bone formation
4. Sequestrum formation

Correct answer: 2. Soft tissue swelling

Explanation: Sequence of changes in osteomyelitis on X-ray are : Earliest finding of osteomyelitis on X ray within 8 days is soft tisse swelling and loss of soft tissue planes Bone destruction and formation of periosteal reaction seen at 10-14 days Invoucrum formation at 3 weeks Sequestrum formation at 4 weeks